Polyhydramnios-
1. 2000cc
2. I500cc
3. l000cc
4. 500cc

Correct answer: 1. 2000cc

Explanation: Ans. is 'a' i.e., 2000cc